In reflux nephropathy, glomerular lesion is?
1. Focal GN
2. Membranous GN
3. Membrano proliferative G.N
4. Minimal change disease

Correct answer: 1. Focal GN

Explanation: Ans. is 'a' i.e., Focal G.NFocal segmental glomerulosclerosis o Focal segmental glomerulosclerosis is characterized by sclerosis of -(i) Some, but not all, glomeruli (thus, it is focal)(ii) In the affected glomeruli, only a portion of capillary tuft is involved (thus, it is segmental). o Clinically it presents as nephrotic syndrome.CausesHIV infection 3. Sickle cell disease 5. IgA nephropathy 7. IdiopathicHeroin addiction 4. Massive obesity 6. Reflux nephropathy